Most common cause of endophthalmitis in AIDS patients is:
1. Rhizopus
2. Aspergillus
3. Cryptococcus
4. Candida

Correct answer: 4. Candida

Explanation: Candida is most common cause of endophthalmitis in AIDS patients. Ocular Manifestations in HIV Anterior Segment Molluscum Contaiosum Herpes Zoster Ophthalmicus Kaposi Sarcoma Ocular Surface Squamous Neoplasia Trichomegaly Dry Eyes Anterior Uveitis Ocular Manifestations In HIV Posterior Segment CMV Retinitis Acute Retinal Necrosis Progressive Outer Retinal Necrosis Toxoplasma Candida Albicans Endophthalmitis Optic Neuritis